In case control study, the risk is calculated by?
1. Relative risk
2. Attributable risk
3. Cross product ratio
4. None

Correct answer: 3. Cross product ratio

Explanation: Ans. is 'c' i.e., Cross product ratio o Risk in case control study is calculated by odds ratio (cross product ratio).